Best management for inhaled foreign body in an infant is:
1. Bronchoscopy
2. IPPV and intubation
3. Steroid
4. Tracheostomy

Correct answer: 1. Bronchoscopy

Explanation: The peak incidence of inhaled foreign bodies is between the ages of one and three years with a male to female ratio of 2:1 Only 12% of the inhaled bodies impact in the larynx while most pass through the cords into the tracheobronchial tree. In contrast to adults, where objects tend to lodge in the distal bronchi or right main bronchus, in children they tend to lie more centrally within the trachea (53%) or just distal to the carina (47%) The treatment of choice for airway foreign bodies is prompt endoscopic removal with a Bronchoscope.